Triple H therapy for subarachnoid hemorrhage consists of all except:-
1. Hypertension
2. Hypervolemia
3. Hemodilution
4. Hypothermia

Correct answer: 4. Hypothermia

Explanation: The combination of induced hypertension, hypervolemia, and hemodilution (triple-H therapy) is often utilized to prevent and treat cerebral vasospasm after aneurysmal subarachnoid hemorrhage(SAH)